True statement about fibro lamellar carcinoma
1. Young adults, children
2. More in males
3. Related to OCP use
4. Bad prognosis

Correct answer: 1. Young adults, children

Explanation: Fibro lamellar HCC occurs in young adults without underlying cirrhosis Ref:Sabiston 20th edition Pgno :1458-1463